Which of the antiglaucoma drug is contra- indicated in sulfonamide hypersensitivity -
1. p-blockers
2. Pilocarpine
3. Acetazolamide
4. Prostaglandin analogues

Correct answer: 3. Acetazolamide

Explanation: Ans. is 'c' i.e., Acetazolamide o Carbonic anhydrase inhibitors (acetazolamide) are contraindicated in sulfonamide hypersensitivityImportant contraindications of topical agents of POAGo b-blockers (non-selective) :-Asthma, COPD, CHF, sinus bradycardia, AV blocko Cholinomimetic (Pilocarpine) :- Uveitiso Sympathomimetic agents* Dipiveferine :- Angle closure glaucoma, cardiovascular disease.* Brimonidine, Apraclonidine :- Use of MAO inhibitors, hypertensive crisis, Parkinsonism.o Carbonic anhydrase inhibitors :- Hypersensitivity to sulfonamide, eye injury.o Prostaglandin analogues :- Ocular inflammation or infection.